Which of the following signs is not suggestive of a cervical spinal cord injury -
1. Flaccidity
2. Increased rectal sphincter tone
3. Diaphragmatic breathing
4. Priapism

Correct answer: 2. Increased rectal sphincter tone